Which of the following Tetracycline can be used in renal failure wihtout dose adjustment:
1. Oxytetracycline
2. Doxycycline
3. Minocycline
4. Demiclocycline

Correct answer: 2. Doxycycline

Explanation: Doxycycline